Sitz Bath consists of which of the following -
1. Patient bathed in normal saline
2. Bathed in molten wax
3. Sits in a basin containing warm antiseptic lotion
4. Sits in a basin conatining molten wax

Correct answer: 3. Sits in a basin containing warm antiseptic lotion